Glucose transport along cell membranes occurs along with
1. K+
2. Na+
3. CI
4. HCO3

Correct answer: 2. Na+

Explanation: The co-transport system may either be a symport or an antiport. In symport, (Fig. 2.12) the transporter carries two solutes in the same direction across the membrane, e.g. sodium-dependent glucose transporter (Chapter 8). Phlorhizin, an inhibitor of sodium-dependent co-transport of glucose, especially in the proximal convoluted tubules of the kidney, produces renal damage and results in renal glycosuria. Amino acid transport is another example for symport.Ref: MN Chatterjea Textbook of Medical Biochemistry, 6th edition, page no: 17